Blue sclera is seen in-
1. Alkaptonuria
2. Osteogenesis imperfecta
3. Turners' syndrome
4. Kawasaki syndrome

Correct answer: 2. Osteogenesis imperfecta

Explanation: It is an asymptomatic condition characterised by marked, generalised blue discolouration of sclera due to thinning (Fig. 6.7). It is a typical association of osteogenesis imperfecta. Its other causes are Marfan's syndrome, Ehlers-Danlos syndrome, pseudoxanthoma elasticum, buphthalmos, high myopia and healed scleritis.